Coarctation of aorta is most commonly associated with?
1. ASD
2. PDA
3. Bicuspid aortic valve
4. VSD

Correct answer: 3. Bicuspid aortic valve

Explanation: COARCTATION OF AORTA: - Sharp indentation involving anterior, lateral & posterior wall of aorta. - Medial wall - spared - MC associated with bicuspid aortic valve Clinical presentation: - Severe coarctation - Heart failure in neonate with B/L feeble or impalpable femoral pulses - Hypertension - Milder disease: intermittent claudication of lower limbs CXR: Figure of 3 & Notching of inferior margin of 3rd - 9th ribs usually seen >3 years age CONTRAST ESOPHAGOGRAM AND BARIUM SWALLOW: E sign TREATMENT: - Balloon angioplasty - Anti hypertensives for hypertension